Structures passing through lesser sciatic foramen are all, except:
1. Pudendal nerve
2. Internal pudendal artery
3. Nerve to obturator externus
4. Tendon of obturator internus

Correct answer: 3. Nerve to obturator externus

Explanation: Structures passing through lesser sciatic foramen are tendon of obturator internus muscle, nerve to obturator internus, pudendal nerve, internal pudendal artery and vein.Structures passing through greater sciatic foramen are:PiriformisSciatic nervePosterior cutaneous nerve of thighSuperior and inferior gluteal nerveNerve to obturator internus and quadratus femorisPudendal nerveSuperior and inferior gluteal nerves and arteriesInternal pudendal artery and vein